Classic symptom of ectopic ureter in females
1. Painful defecation
2. Urinary frequency
3. Ureteral incontinence with otherwise normal voiding
4. Labial swelling

Correct answer: 3. Ureteral incontinence with otherwise normal voiding

Explanation: ECTOPIC URETERAL ORIFICE * Around 80% is associated with a duplication collecting system. * More common in females. Location * Males: Prostatic or posterior urethra (MC), lateral in bladder. * Females: Anterior urethra (MC), vestibule, vagina. Clinical Features * Females: continuous incontinence with an otherwise normal voiding . * Males: MC presentation Is UTI, no urinary incontinence . Diagnosis * IVP: Drooping Lily sign Treatment * Mainly expectant, Ureteric reimplantation or pole nephrectomy depending on moiety function.